Which of the following is required in the synthesis of acetylcholine -
1. Inositol
2. Carnitine
3. Glycine
4. Choline

Correct answer: 4. Choline

Explanation: Ans. is 'd' i.e., Choline o Acetylcholine is synthesized in the cytosol of nerve terminal from acetyl-CoA and choline, in the presence of choline-O-acetyltransferase.Acetyl CoA + Cholinecholine-O-acetyltransferase---------------------Acetylcholine + CoA